False about Leishmaniasis is
1. Aldehyde Test of Napier is a good test for diagnosis
2. Indian Leishmaniasis is a non-zoonotic infection with man as the sole reservoir
3. Co-infection with AIDS is now emerging
4. There are no drugs for personal prophylaxis

Correct answer: 1. Aldehyde Test of Napier is a good test for diagnosis

Explanation: • In Scrub typhus the nymphal and adult stages of the mite are free living in nature, they do not feed on vertebrate hostst
• Larvae (chigger) feed on vertebrate hosts’ and pick up rickettsiae
• Larval stage ‘act as a both reservoir and a vector.’